The alveoli are filled with exudates the air is displaced converting the lungs into a solid organ this description suggests:
1. Chronic bronchitis
2. Bronchial asthma
3. Bronchiectasis
4. Lobar pnemonia

Correct answer: 4. Lobar pnemonia

Explanation: Bacterial invasion by lung parenchyma causes the alveoli to be filled with inflammatory exudate,thus causing consolidation of the pulmonary tissue.(ref Robbins 9/e p704)